One gm of Hb liberates _______ mg of billurubin .
1. 40
2. 34
3. 15
4. 55

Correct answer: 2. 34

Explanation: Approximately 35mg of bilirubin is formed from 1g of Hb. About 6g of Hb is broken down per day. A total of 300mg of bilirubin is formed everyday; of which 80% is from destruction of old RBCs, 10% from ineffective erythropoiesis and the rest 10% from degradation of myoglobin and other heme containing proteins. Reference : page 249 Textbook of Biochemistry D M Vasudevan 6th edition